An infant after birth is noticed to have stridor and a hoarse cry. All of the following diagnosis are possible except:
1. Laryngeal web
2. Laryngeal paralysis
3. Congenital laryngeal cyst
4. Laryngomalacia

Correct answer: 4. Laryngomalacia

Explanation: Laryngomalaeia produces stridor but no hoarseness because vocal cords are normal. In other conditions listed at (a), (b) and (c) hoarseness is produced due to involvement of vocal cord. Laryngomalaeia is the most common congenital laryngeal anomaly followed by congenital laryngeal paralysis.